In splenic injury conservative m/n is done in -
1. Hemodynamically unstable
2. Young pt.
3. Shatterred spleen
4. Extreme pallor and hypotension

Correct answer: 2. Young pt.

Explanation: Ans is 'b' ie. Young pts Most serious complications after splenectomy is OPSI (Opportunistic Post Splenectomy Infections) it is most common in young children and immunocompromised adults. "Therefore it is essential to save the spleen in children." Now spleen salvage methods is the management of choice even in adults. Splenectomy is usually indicated under the following circumstances (Ref: Sabiston 18/e p1639 (17/e, p 1694) 1) the pt. is unstable 2) the spleen is extensively injured with continuous bleeding 3) bleeding is associated with hilar injury 4) other injuries require prompt attention "Splenectomy is indicated for hilar injuries, pulverized splenic parenchyma, or any injury of grade II or higher in a patient with coagulopathy or multiple injuries."-Schwartz 9/e